False about appendicitis in children:
1. Localized pain is the single most important symptom
2. Vomiting precedes abdominal pain
3. Perforation occurs in 80% of cases <5 years
4. 60% perforation occurs within 48 hours

Correct answer: 2. Vomiting precedes abdominal pain

Explanation: Ans. (b) Vomiting precedes abdominal painRef: Sabiston 19th edition, Page 1280* As per Murphy's Triad -- the order of symptoms are:* Migratory pain* Vomiting* Fever